A 25 year old male patient complains of gap between his upper and lower front teeth. He was found to have an anterior open bite of 5 mm along with a tongue thrusting habit. Which speech difficulty is this patient most likely to suffer from?
1. Distortion
2. Lisp
3. Difficulty in production of linguo-alveolar stops
4. Difficulty in production of labio-dental fricatives

Correct answer: 2. Lisp